Auditory fatigue is seen at ?
1. 90 dB, 4000Hz
2. 110 dB, 4000Hz
3. 130 dB, 4000Hz
4. 150 dB, 4000Hz

Correct answer: 1. 90 dB, 4000Hz

Explanation: Ans. is 'a' i.e., 90 dB, 4000Hz Auditory effects of noice Auditory fatigue - 90 dB and 4000 Hz. Deafness - 4000 to 6000 Hz Temporary - Repeated prolonged exposure to 100 dB Permanent> Single exposure to - 160 dB (due to rupture of ear drum) This question is a repeat from NEET 2012-13